In a village having population of 1000, we found patients with certain disease. The results of new diagnostic test on disease are as follows: Test result Disease Present Absent + 180 400 - 20 400 What is the percent prevalence of disease?
1. 0.2
2. 2
3. 18
4. 20

Correct answer: 4. 20

Explanation: Prevalence is defined as all current cases (old + new) at a given point of time. Prevalence = No. of all current cases of a disease at a time/ Estimated total population at that time X 100 In the given question, Test result Disease Present Absent + 180 400 - 20 400 Total 200 800 Thus, Prevalence = 200 / (200 + 800) X 100 = 20%